Diagnosis of beta Thalassemia is established by ?
1. NESTROFT Test
2. Hb A1 c estimation
3. Hb electrophoresis
4. Target cells in peripheral smear

Correct answer: 3. Hb electrophoresis

Explanation: Ans. is 'c' i.e., Hb electrophoresis `The diagnosis of thalassemia syndromes is best established by Hb electrophoresis.'